Which of the following is true about imatinib
1. It acts by inhibition of tyrosine kinase
2. It is used to treat GIST
3. Side effect of imatinib is pedal edema
4. All of the above

Correct answer: 4. All of the above